Site of RBC formation in 20 year old healthy male is:
1. Flat bones
2. Long bones
3. Liver
4. Yolk sac

Correct answer: 1. Flat bones